A group of experts discussing a topic in front of the audience without any specific order. This mode of communication is known as:
1. Panel discussion
2. Group discussion
3. Team presentation
4. Symposium

Correct answer: 1. Panel discussion

Explanation: Ans. A: Panel discussion In panel discussion there is a chairman/moderator and 4-8 speakers. Each speaker prepares separately, the other speakers hear one another for the time at the session itself. Panel discussions, however, differ from team presentations. Their purpose is different. In a team presentation, the group presents agreed-upon views; in a panel discussion, the purpose is to present different views. Also in a team presentations, usually speakers stand as they speak; in panel discussions, usually speakers sit the whole time. Technically, a panel discussion consists of questions and answers only, and a symposium consists of a series of prepared speeches, followed by questions and answers. The chairman/ moderator must monitor time and manage questions. If each participant is making a speech for a set period of time, he should signal the speakers at the one minute to go mark and at the stop mark. If a speakers goes more than one or two minute he can stop them to gave the equal rights to each speakers. The chairman/ moderator must be a biased person; he is neither in favour nor against the topic. At the end the compare should summarize the discussion and thank the panel members.